If a drug is active against the pre–erythrocytic stage of the malarial parasite it will be useful as a :
1. Suppressive prophylactic
2. Causal prophylactic
3. Clinical curative
4. Radical curative

Correct answer: 2. Causal prophylactic